Xanthinurate is a product/intermediate metabolite of
1. Phenylalanine
2. Leucine
3. Tryptophan
4. Isoleucine

Correct answer: 3. Tryptophan

Explanation: Conversion of tryptophan metabolite 3 hydroxy kynurenine to 2 hydroxy anthranilate is impaired in vitamin B6 deficiency? hence large amount of xanthinurate is formed.